Talon's cusp is characteristic of which syndrome
1. Edward's syndrome
2. Klinefelter's syndrome
3. Rubinstein -Taybi syndrome
4. Down's syndrome

Correct answer: 3. Rubinstein -Taybi syndrome